Lactose on hydrolysis yeilds -
1. 2 molecules of fructose
2. 2 molecules of glucose
3. One molecule of glocuse and one molecule of fructose
4. One molecule of glocuse and one molecule of galactose

Correct answer: 4. One molecule of glocuse and one molecule of galactose

Explanation: Ans. is 'd' i.e.. One molecule of glocuse and one molecule of galactoseo Sucrose is hydrolysed into fructose and glucose by sucrase (an enzyme present in brush border of intestinal epithelium).o Lactose is hydrolysed into galactose and glucose by lactase (p-giucosidase).o Trehalase hydrolyzes trehelose (a 1:1 a - linked dimer of glucose) into two glucose molecules,o Trehalose is found in mushrooms.o Maltasc hydrolyses moltose and maltotriose and releases two molecules of glucose from maltose and three molecules of glucose from maltotriose.